Persistence of omphalomesenteric duct is
1. Gastroschisis
2. Omphalocele
3. Meckel's diverticulum
4. Ectopia vesicae

Correct answer: 3. Meckel's diverticulum

Explanation: - Omphalomesenteric duct present inside the umbilical cord of baby is also called as vitello-intestinal duct * Yolk sac - forms gut tube (foregut, midgut & hindgut) * Midgut would be communicating with yolk sac by a duct called vitello-intestinal duct * This duct would be obliterated in course of time; if not results in Meckel's anomaly. (diverticulum/ fistula/ sinus/ cyst etc) present at anti-mesenteric border * Baby will be born with fecal matter at the umbilicus. * Meckel's anomaly - True anomaly as it has all the layers of the gut tube. - presented with pain at umbilicus (referred pain of midgut) Omphalomesenteric duct anomalies Meckel's diverticulum 98% of omphalomesenteric duct anomalies Meckel's diverticulum connected to the umbilicus by a fibrous cord Umbilical cyst. A fibrous cord connecting the ileum to the umbilicus predisposes to volvulus and bowel obstruction Umbilicoieleal fistula: Patent omphalomesenteric duct, resulting in fecal drainage from the umbilicus.